Asha scheme is associated with
1. ICDS
2. Rural health mission
3. 20 points programme
4. Minimum needs programme

Correct answer: 2. Rural health mission

Explanation: Creation of a cadre of Accredited Social Health Activist (ASHA) is associated with National rural health mission. Ref: PARK'S TEXTBOOK OF PREVENTIVE AND SOCIAL MEDICINE 23rd edition pg 449